Half life of IgG is
1. 1-5 days
2. 2-8 days
3. 6 days
4. 20-23 days

Correct answer: 4. 20-23 days

Explanation: Half-life of different immunoglobulins –
IgG - About 22 to 25 days
IgA - About 6 to 8 days
IgM - About 5 days
IgE - About 2 to 8 days
IgD - About 3 days